You are working in a PHC and have to send a sample for blood glucose estimation. Which of the following anticoagulant will you use for sending your sample?
1. EDTA
2. Heparin
3. Potassium oxalate + sodium fluoride
4. Tri Sodium citrate

Correct answer: 3. Potassium oxalate + sodium fluoride

Explanation: Blood samples for measurement of glucose are taken in Gray l containing Potassium oxalate + sodium fluoride. Enolase enzyme in the glycolysis is inhibited by fluoride so sample is collected in tubes containing fluoride to inhibit glycolysis.